The replacement of missing part by artificial substitute is called as:
1. Obturator
2. Tongue blade
3. Prosthesis
4. Myofunctional appliance

Correct answer: 3. Prosthesis